A 29-year-old woman with a ruptured ectopic pregnancy is admitted to a hospital for culdocentesis. A long needle on the syringe is most efficiently inserted through which of the following structures?
1. Anterior fornix of the vagina
2. Posterior fornix of the vagina
3. Anterior wall of the rectum
4. Posterior wall of the uterine body

Correct answer: 2. Posterior fornix of the vagina

Explanation: A needle should be inserted through the posterior fornix, just below the posterior lip of cervix while the patient is in supine position, to aspirate abnormal fluid in the cul-de-sac of Douglas (rectouterine pouch). Rectouterine excavation is not most efficiently aspirated by puncture of other structures.